Male breast cancer wrong statement-
1. Brca2 seen in 6% cases
2. Lobular carcinoma is common
3. DUCTAL carcimoma is most common subtype
4. Colloid carcinoma can be seen

Correct answer: 2. Lobular carcinoma is common

Explanation: Ans. (b) Lobular carcinoma is common(Ref: Robbins 9th/pg 1054)From 4% to 14% of cases in males are attributed to germline BRCA2 mutations -OPTION A IS TRUEStructure of the male breast does not have lobules and acini, lobular carcinoma cases are seen infrequently- OPTION B IS FALSEMost common breast cancer in male is ductal carcimnoma NOSColloid carcinoma can be seen.